Eruption of temporary teeth will be completed by :
1. One to one and half year
2. Two to two and half year
3. Three to four years
4. Four to five years

Correct answer: 2. Two to two and half year

Explanation: B i.e. 2-21/2 years